Vitamin D is maximum in
1. Milk
2. Cod liver oil
3. Fish fat
4. Eggs

Correct answer: 2. Cod liver oil